Constrictions of esophagus when measured from upper incisors are present at
1. 15cm, 20cm, 40cm
2. 15cm, 25cm, 40cm
3. 20cm, 30cm, 40 cm
4. 30cm, 40cm, 60 cm

Correct answer: 2. 15cm, 25cm, 40cm

Explanation: At- 15 cm (6 inch) from incisor at cricophyrangeal junction behind the cricoid cartilage () At 25 cm Broncho-aortic constriction(23+28[?]50/2[?]25cm) At 40 cm(15 inch) from incisor -esophageal hiatus where it passes through the diaphragm in the posterior mediastinum(T10) At 23 cm(9 inch) from incisor -due to crossing of arch of aorta in front in the superior mediastinum() At 28 cm (11 inch)from incisor -esophagus is compressed by the left main bronchus in the posterior mediastinum()